The commonest systemic abnormality associated with renal cell carcinoma is ?
1. Hypertension
2. Polycythemia
3. Elevated ESR
4. Pyrexia

Correct answer: 3. Elevated ESR

Explanation: Incidence of Systemic Syndromes Associated with Renal Cell Carcinoma in descending order are : Elevated erythrocyte sedimentation rate 55.6 55.6 Hypertension 37.5 37.5 Anemia 36.3 36.3 Cachexia, weight loss 34.5 34.5 Pyrexia 17.2 17.2 Abnormal liver function 14.4 14.4 Hypercalcemia 4.9 4.9 Polycythemia 3.5 3.5 Neuromyopathy 3.2 3.2 Amyloidosis 2.0 2.0 Polycythaemia;-due to production of erythropoietin by tumour cells. Persistent pyrexia 37.8-38.9 degrees centigrade. Pathological fracture:-sec deposits in longbones Campbell and Walsh Urology 11th edition , chapter 57 , pg no :1334